A 6-month infant presented with multiple papules and exudative lesions on the face, scalp, trunk and few vesicles on the palms and soles for 2 weeks. His mother had H/O itchy lesions. Most likely diagnosis:
1. Scabies
2. Infantile eczema
3. Infantile seborrheic dermatitis
4. Impetigo contagiosa

Correct answer: 1. Scabies

Explanation: Ans. A. ScabiesScabies is due to infestation with human scabies mite, which is an obligate parasite and has no separate existence outside the human body. The disorder is notorious for the intensity of itch that it causes, even in the presence of relatively minor physical signs. Physical signs are essentially those of eczema and the effects of scratching vesicle are seen, but excoriations and prurigo-like papules are more common.